Rarest variety of pemphigus among the following is
1. P. vulgaris
2. P. foliaceus
3. P. vegetans
4. P. erythematosis

Correct answer: 3. P. vegetans

Explanation: "Pemphigus vulgaris is most common among all pemphigus patients followed by pemphigus foliaceus, pemphigus erythrematosis and then pemphigus vegetans"(Ref: IADVL textbook volume 1 pg 937)